Space of Disse contains all EXCEPT
1. Microvilli
2. Blood Plasma
3. Kupffer Cell
4. Hepatic Stellate Cell

Correct answer: 3. Kupffer Cell

Explanation: Kupffer cells are present in Sinusoids - they give Pseudopodia which passes through fenestrated endothelium of sinusoids into Space Of Disse.